Bilateral Renal cell carcimoma is seen in -
1. Eagle Barrett's syndrome
2. Beckwith Wiedemann syndrome
3. Von Hippel Lindau disease
4. Bilateral Angiomyolipoma

Correct answer: 3. Von Hippel Lindau disease